Pyoderma-gangrenosum is most commonly associated with -
1. Ulcerative colitis
2. Crohns disease
3. Amoebic colitis
4. Ischemic colitis

Correct answer: 1. Ulcerative colitis